felon most commonly present at -
1. Index finger
2. Ring finger
3. Little finger
4. Middle finger

Correct answer: 1. Index finger

Explanation: Ans. is 'a' i.e., Index finger Felono Infection of the terminal pulp space is known as 'Felon', which is common and potentially serious,o Dull pain and swelling are the first symptoms, and if untreated by the third day there are severe nocturnal exacerbations of throbbing pain, interfering with sleep, o Light pressure over the affected pulp increases the pain,o In the early acute phase antibiotic treatment is often successful.o If localization of the pus has occured, which is indicated by persistent pain, localized tenderness, then it should be drained by a lateral incision which opens all compartments and avoids damage to the tactile tissue in front of the finger.o If neglected, it may lead to necrosis of distal 4/5 of the terminal phalanx due to occlusion of the vessels by- tension. The proximal 1/5 (epiphysis) escapes because its artery does not transverse the fibrous septa.